Which has the highest penetration power?
1. Neutrons
2. Beta rays
3. Gamma rays
4. X-rays

Correct answer: 1. Neutrons

Explanation: Neutrons have the highest penetration power. The penetration power in increasing order isAlpha< Beta<Xray<Gamma< Neutron